Marion's disease is due to -
1. Muscular hypertrophy of internal sphincter of urinary bladder
2. Fibrosis of the neck of bladder
3. Vesicular diverticula
4. Vesicular calculi

Correct answer: 1. Muscular hypertrophy of internal sphincter of urinary bladder